Sensation not represented in sensory cortex is
1. Pain
2. Temperature
3. Touch
4. Olfaction

Correct answer: 4. Olfaction

Explanation: Olfaction is represented in the olfactory cortex (Brodmann's area 28) which is located in the anterior part of the parahippocampal gyrus and uncus. Note: Primary sensory area-pain, touch, Vibration, Temperature, muscle and joint sense. sensory association area- stereognosis. (Ref: Vishram Singh textbook of clinical neuroanatomy, second edition pg- 151)